N-MYC amplification is associated with which tumor? -
1. Burkitt lymphoma
2. Squamous cell carcinoma lung
3. Astrocytoma
4. Neuroblastoma

Correct answer: 4. Neuroblastoma

Explanation: Harshmohan textbook of pathology 7th edition. N- MYC oncogene: mutated MYC gene due to amplification seen in neuroblastoma and small cell carcinoma of lung..